Best management of vault prolapse is:
1. Sacral colpopexy
2. Sacrospinous ligament fixation
3. Le forts repair
4. Anterior colporapphy

Correct answer: 1. Sacral colpopexy

Explanation: Vault Prolapse:

It is a long complication of hysterectomy and refers to prolapse of the vaginal stump left behind after performing hysterectomy.

Management
Patient is fit for abdominal surgery
                   ↓
Trans abdominal sacral colpopexy
(Mesh is attached to the vault and sacral promontory).
It is the gold standard surgery for vault prolapse
Management
In obese, elderly patients, not fit for abdominal surgery
                   ↓
Transvaginal sacrospinous ligament fixation/colpopexy can be done.